Tip of nose reconstruction is done by
1. Bipedicled flap
2. Bilobed flap
3. Full thickness skin graft
4. Split skin graft

Correct answer: 2. Bilobed flap

Explanation: Local flaps A local flap is raised next to a tissue defect in order to reconstruct it Basic patterns of local flaps Transposition flap Most basic design, leaving a graftable donor site Z-plasty For lengthening scars or tissues Rhomboid flap For cheek, temple, back and flat surface defects Rotation flap For convex surfaces Advancement flap For flexor surfaces, may need triangles excised at the base to make it work (commonly called Burrow's triangles) V-to-Y advancement Commonly used for fingertips and extremities Bilobed flap For convex surfaces, especially the nose Bipedicle flap For eyelids, rarely elsewhere Ref: Sabiston 20th edition Pgno :836